Mean value articulator is:
1. 3 point articulator.
2. Non-adjustable articulator.
3. Non arcon type articulator.
4. All of the above.

Correct answer: 4. All of the above.